Yellow discoloration of skin and mucosa is seen in which poisoning?
1. Nitrous oxide
2. Nitric acid
3. Sulphuric acid
4. Phosphoric acid

Correct answer: 2. Nitric acid

Explanation: Nitric Acid Synonyms: Aqua Fortis, Red Spirit of Nitre Properties * Clear, colourless, fuming liquid * Pungent odour * With organic substances, it causes yellowish discolouration due to xanthoproteic reaction. Fatal dose: 10 to 15 ml Fatal period: 12 to 24 hours. Autopsy Findings * Corrosion of skin, angle of mouth, lips, mucosa with yellowish discolouration * Stomach wall is soft and friable, ulcerated. * Perforation is less common. REF;THE SYNOPSIS OF FORENSIC MEDICINE:KS NARAYANA REDDY;PAGE NO 298